A 42-year-old man presents with long-standing abdominal pain after meals, which is relieved by over-the-counter antacids. The patient has lost 9 kg (20 lb) in the past year. Physical examination reveals peripheral edema and ascites. Laboratory studies show decreased serum albumin but normal serum levels of transaminases and gastrin. Gross and microscopic examination of this patient's stomach would most likely show which of the following pathologic changes?
1. Atrophic gastritis
2. Enlarged rugal folds
3. Intestinal metaplasia
4. Multiple hemorrhagic ulcers

Correct answer: 2. Enlarged rugal folds

Explanation: Menetrier disease /Hyperplastic hypersecretory gastropathy Mean age 30-60 years Rare disorder associated with excessive secretion of transforming growth factor (TGF)-a, which is an EGF receptor (EGFR) ligand, and hyperactivation of the epidermal growth factor receptor on gastric epithelial cells. Excessive EGFR activation causes diffuse hyperplasia of foveolar epithelium within the body and fundus Hypoproteinemia occurs to albumin loss across the gastric mucosa Secondary symptoms such as weight loss, diarrhea, and peripheral edema are commonly present Enlarged rugae are present in the body and fundus but the antrum is generally spared Risk of gastric adenocarcinoma is increased -Histology shows characteristic feature that is: Hyperplasia of surface and glandular mucous cells Marked intraepithelial lymphocytosis. Diffuse or patchy glandular atrophy The glands are elongated with a corkscrew-like appearance and cystic dilation present